Lipofuscin, the golden yellow pigment is seen in heart muscle -
1. Hypertrophy
2. Atrophy
3. Hyperplasia
4. Infarction

Correct answer: 2. Atrophy

Explanation: Ans. is 'b' i.e., Atrophy